Site of IM injection without injuring any vessels or nerves
1. Lower part of insertion of deltoid
2. Upper outer quadrant of buttock
3. Lower inner quadrant of buttock
4. Upper inner quadrant of buttock

Correct answer: 2. Upper outer quadrant of buttock

Explanation: (B) Upper outer quadrant of buttock